A flat, circumscribed discolouration of skin or mucosa
that may vary in size and shape is referred to as
1. Epulis
2. Macule
3. Nodule
4. Papule

Correct answer: 2. Macule